The principle of "Wolff-chaikoff effect" is used in
1. Iodide for thyrotoxic patients after surgery
2. Iodide for thyrotoxic patients before Surgery
3. Stimulation of hormone synthesis
4. Inereased vascularity of thyroid gland

Correct answer: 2. Iodide for thyrotoxic patients before Surgery

Explanation: Increased Iodine inhibits thyroid hormone synthesis. This is called Wolff Chaikoff effectRef: Ganong's review of medical physiology; 24th edition; page no; 346